Damage caused by bullet depends upon:
1. Size
2. Weight
3. Velocity
4. Shape

Correct answer: 3. Velocity

Explanation: Velocity